Which of the following is the agent of choice for treating thyrotoxicosis during pregnancy ?
1. Carbimazole
2. Propylthiouracil
3. Methimazole
4. Radioactive I131

Correct answer: 2. Propylthiouracil

Explanation: The antithyroid drugs like carbimazole, methimazole crosses the placenta (transplacental passage) and produce fetal hypothyroidism and goiter if the maternal dose is excessive. However, propylthiouracil should be used in early gestation at low doses as its greater protein binding allows less transfer to the foetus. Carbimazole and methimazole are also associated with rare cases of fetal aplasia cutis and other defects, such as choanal atresia. Pregnancy and breast-feeding are absolute contraindications to radioiodine treatment I131. Reference : page 254 Essentials of Medical Pharmacology K D Tripathi 7th edition and page 2297 Harrison's Principles of Internal Medicine 19th edition